Vitamin used for treating toxic ambylopia:
1. Hydroxycobalamine
2. Vitamin B1
3. Vitamin B6
4. Vitamin B3

Correct answer: 1. Hydroxycobalamine

Explanation: Ans: A i.e. Hydroxycobalamine Improvement in toxic amblyopias/ tobacco induced optic neuropathy may be hastened by intramuscular injections of 1000 microgram hydroxycobalamine